Properties of alpha waves are all of the following except:
1. It is most marked in the parieto-occipital area
2. It has a frequency of 8-12 Hz
3. Frequency is decreased by low glucose level
4. Seen in REM sleep

Correct answer: 4. Seen in REM sleep

Explanation: Ans. D: Seen in REM sleep